For controlling an outbreak of cholera, all of the following measures are recommended except
1. Mass chemoprophylaxis
2. Proper disposal of excreta
3. Chlorination of water
4. Early detection and management of cases

Correct answer: 1. Mass chemoprophylaxis